Father of distraction osteogenesis is:
1. Codivilla.
2. Snyder
3. Ilizarov.
4. Alexander.

Correct answer: 3. Ilizarov.